A patient with cushingoid features presents with hemoptysis, he shows no response to dexamethasone suppression test. The most likely diagnosis is:
1. Adrenal hyperplasia
2. Adrenal adenoma
3. Ca lung with ectopic ACTH production
4. Pituitary microadenoma

Correct answer: 3. Ca lung with ectopic ACTH production

Explanation: Ca lung with ectopic ACTH production